ACE inhibitor when used for long time in hypertension patient cause
1. Rightward shift in Renal pressure natriuresis curve
2. Reduction in filtration fraction
3. Significant increase in heart rate
4. No change in the compliance of large arteries

Correct answer: 2. Reduction in filtration fraction

Explanation: Refer Goodman and Gilman 10e p804 Angiotensin 2 shifts the renal pressure natriuresis curve to the right side and helps to adjust the sodium levels in the body according to dietary intake of the sodium( more excretion from more intake and less excretion from less excretion from less intake ACE inhibitors block the action of angiotensin 11 and cause leftward shift of renal pressure natriuresis curve show that if the sodium intake is decreased much more natriuresis occur ACE inhibitors can increase the renal blood flow without increasing GFR and thus result in reduction of filtration fraction